CG region is involved in:
1. Acetylation
2. Methylation
3. Phosphorylation
4. DNA Replication

Correct answer: 2. Methylation

Explanation: CG region Methylation of cytosine By DNA Methyl Transferases (DNMTs) of CG site leads to gene inhibition. the most common mechanism of genomic imprinting.